Immunostimulant used for the treatment of malignant melanoma is :
1. Levamisole
2. BCG
3. Aldesleukin
4. Methotrexate

Correct answer: 3. Aldesleukin

Explanation: It is a recombinant IL-2 used for the treatment of renal cell carcinoma and malignant melanoma.